Pharmacological agent causing peliosis hepatis is:
1. Anabolic steroid
2. Methotrexate
3. Pyrazinamide
4. Interferon Alpha

Correct answer: 1. Anabolic steroid

Explanation: Peliosis hepatis is characterized by the presence of cystic, blood-filled spaces of variable size in the liver. Endothelial cells cover the internal surface of these cavities, and adjacent hepatocytes are normal. Pharmacological agents causing peliosis hepatis are 1. Androgenic anabolic steroids and estrogens 2. Immunosuppressive drugs 3. Tamoxifene Ref: World J Gastroenterol 2006 June 14; 12(22): 3612-3615.